Diaphragm develops from all of the following structures, except?
1. Septum transversum
2. Pleuroperitoneal membrane
3. Cervical myotomes
4. Dorsal mesocardium

Correct answer: 4. Dorsal mesocardium

Explanation: The diaphragm is, therefore, formed from the following components Pleuroperitoneal membranes forms posterior part of central tendon. Dorsal mesentry of esophagus forms crus of diaphragm. Body wall forms peripheral part of diaphragm. cervical myotomes forms muscles of diaphragm.